Treatment of choice in hairy cell leukemia is -
1. Steroids
2. Cladiribine
3. Splenectomy
4. Pentostatin

Correct answer: 2. Cladiribine